In a programme, results analyzed in comparison to cost is known is -
1. Cost benefit analysis
2. Management by objectives
3. Cost-effective analysis
4. Cost utility study

Correct answer: 3. Cost-effective analysis

Explanation: - cost effective analysis express the benefits in terms of results achieved rather than monetary terms. - more promising tool for application in the health field. Reference : Park's textbook of preventive and social medicine, 23rd edition, pg no:871